Antibiotic structurally resembling Aminoacyl t-RNA and inhibiting protein synthesis in both prokaryotes as well as eukaryotes is?
1. Azithromycin
2. Tetracycline
3. Chloramphenicol
4. Puromycin

Correct answer: 4. Puromycin

Explanation: 1. Puromycin is an Aminonucleoside antibiotic derived from the Streptomyces alboniger bacterium. 2. It can causes premature chain termination during translation and the part of it resembles the 3' end of the Aminoacyl tRNA. 3. It can inhibit protein synthesis in both bacteria as well as humans